Intracranial tension is decreased by all of the following methods EXCEPT
1. ICT monitoring
2. Craniotomy
3. Tumor removal
4. CSF removal

Correct answer: 1. ICT monitoring

Explanation: (A) ICT monitoring(*-May be initiated immediately after brief evaluation if situation is urgent. Measures also used in children awaiting surgicall/radiologial procedures,** - Preferable to monitor ICP,***-undertake only with ICP monitoring)